Metformin is NOT effective in lowering of blood sugar level in which of the following patients ?
1. Non diabetics
2. Obese diabetics
3. Type 2 diabetics
4. Diabetics not responding to sulfonylureas

Correct answer: 1. Non diabetics